The most comprehensive indicator of cost-effective analysis is
1. Number of life years gained
2. Number of heart attacks avoided
3. QALYS gained
4. Cost per life year gained

Correct answer: 3. QALYS gained

Explanation: Cost-benefit analysis, in which benefits are compared to cost of the program. The benefits are expressed in monetary termsA cost-effective analysis is similar to cost-benefit analysis except benefits are expressed in terms of results achievedThe most commonly used outcome measure is quality-adjusted life years (QALY)Park 23e pg:871